Chemical method of strengthening porcelain
involves
1. exchange of aluminium and sodium ions
2. exchange aluminium and potassium ions
3. exchange of sodium and potassium ions
4. none of the above

Correct answer: 3. exchange of sodium and potassium ions